A vasopressin analogue does not produce therapeutic effect through vasopressin V-2 receptor in which of the following -
1. Central diabetes insipidus
2. Bleeding esophageal varices
3. Type 1 van Willebrand's disease
4. Primary nocturnal enuresis

Correct answer: 2. Bleeding esophageal varices

Explanation: Ans is option 2 bleeding esophageal varices Vasopressin stops bleeding of esophageal varices by constricting the vessels through V1 receptors. All other act through V2 receptors on kidney liver and vascular endothelium V 1 receptors are present on blood vessels smooth muscles CNS platelet etc.. Ref.. KDT 4/e p 539-541